Most common tumor producing osteoblastic metastasis?
1. Kidney
2. Lung
3. Prostate
4. Thyroid

Correct answer: 3. Prostate

Explanation: Ans. is 'c' i.e., Prostate Osteolytic bone metastases Osteoblastic bone metastasis Mixed osteolytic-osteoblastic Renal (kidney) Thyroid Ewing's sarcoma Uterine carcinoma GIT cancers & Hepatoma Wilm's tumors Myeloma Melonoma & SCC Malignant pheochromocytoma Prostate (most common) Prostate (most common) Medullary carcinoma of thyroid Osteogenic sarcoma Neuroblastoma Medulloblastoma Breast Lung (Bronchus) Urinary bladder Pancreatic Testicular Cervical Ovarian